Most frequent symptom of adenomyosis:
1. Amenorrhea
2. Dysmenorrhea
3. Menorrhagia
4. Metrorrhagia

Correct answer: 3. Menorrhagia

Explanation: Symptoms of Adenomyosis are: Menorrhagia( mc) Progressive dysmenorrhea Infertility in young women Uterus is uniformly enlarged and <=14 weeks size of pregnant uterus(14 cm)